The histological section of tooth under orthodontic force representing an avascular area in the periodontal ligament is often referred as
1. Frontal zone
2. Hyalanized zone
3. Undermining zone
4. Clear zone

Correct answer: 2. Hyalanized zone